Hypertension with tachycardia is due to –
1. Morphine
2. Thiopentone
3. Ketamine
4. Halothane

Correct answer: 3. Ketamine

Explanation: Heart rate, BP, cardiac output and myocardial oxygen consumption all are increased by ketamine.